Normal intrapulp pressure is
1. 10mm Hg
2. 5mm Hg
3. 7mm Hg
4. 15mm Hg

Correct answer: 1. 10mm Hg